Type 1 hypersensitivity includes all of the following except-
1. Autoimmune hemolytic anemia
2. Anaphylaxis
3. Extrinsic asthma
4. Hay fever

Correct answer: 1. Autoimmune hemolytic anemia